All of the following are sources of vitamin A except:
1. Egg
2. Milk
3. Sunflower seeds
4. Tomato

Correct answer: 3. Sunflower seeds

Explanation: Ans. is 'c' i.e., Sunflower seeds